QT prolongation is seen in all, except:
1. Hypothermia
2. Digitalis toxicity
3. Hypocalcemia
4. Romanowand syndrome

Correct answer: 2. Digitalis toxicity

Explanation: Answer is B (Digitalis toxity) QT interval is shortened in digitalis toxity and not prolonged QT interval Is measured from the beginning of Q wave to the end of T wave Q It is the time taken for total ventricular events i.e. depolarization as well as repolarization 2 Normal QT interval should not exceed 42 seconds